Noguchi's medium is used for -
1. Bordetella
2. Brucella
3. Borrellia
4. Corynebacterium

Correct answer: 3. Borrellia

Explanation: Ans. is 'c' i.e., Borrelia